Which of the following is not a modification for the class III cavity preparation to receive direct filling gold restorations?
1. Ferrier design
2. Loma Linda design
3. Ingraham design
4. Moustache extensions

Correct answer: 4. Moustache extensions

Explanation: Class V with unilateral or bilateral “moustache” extensions occlusally:
Sometimes surface defects occlusal to the height of contour are continuous with a gingival third lesion, necessitating their involvement in the Class V cavity preparation and their restorations. So one or two occlusal extensions are added to the basic trapezoidal Class V cavity preparation.